Tamoxifen increases the risk of which malignancy?
1. Cervix
2. Vagina
3. Endometrium
4. Vulval

Correct answer: 3. Endometrium

Explanation: TAMOXIFEN Tamoxifen is a SERM that possess estrogen antagonistic activity in the breast and blood whereas agonistic activity in bone, uterus and liver. Its major indication is the treatment of breast carcinoma. It has beneficial effect on bone and lipid profile Tamoxifen can increase the risk of endometrial carcinoma and thromboembolism.